Civatte bodies are found in -
1. Lichen Planus
2. Psoriasis
3. Dermatophytosis
4. Vitiligo

Correct answer: 1. Lichen Planus

Explanation: In Lichen's planus, anucleate necrotic basal cells may become incorporated into the inflamed papillary dermis, where they are referred to as colloid bodies or civatte bodies.